When a drug is evaluated for its usefulness in controlled conditions, it is termed as a trial signifying:
1. Efficacy
2. Effectiveness
3. Efficiency
4. Effect modification

Correct answer: 1. Efficacy

Explanation: Efficacy is the maximum effect of a drug regardless of dose. It is determined under controlled conditions in clinical trials.
Effectiveness is the response of a drug in Clinical set up. It may not yield the maximum benefit.